After overnight fasting, levels of glucose transporters reduced in:
1. Brain cells
2. RBCs
3. Adipocyte
4. Hepatocyte

Correct answer: 3. Adipocyte

Explanation: Ans. C. Adipocytes(Ref: Harper 29/e page 158, Harper 30/e page 192)GLUT-4 and InsulinGlucose uptake into muscle and adipose tissue is controlled by insulin, which is secreted by the islet cells of the pancreas in response to an increased concentration of glucose in the portal blood.In the fasting state, the glucose transporter of muscle and adipose tissue (GLUT-4) is in intracellular vesicles.An early response to insulin is the migration of these vesicles to the cell surface, where they fuse with the plasma membrane, exposing active glucose transporters.These insulin sensitive tissues only take up glucose from the bloodstream to any significant extent in the presence of the hormone.As insulin secretion falls in the fasting state, so the receptors are internalized again, reducing glucose uptake.